Modified amstredam criteria is used for diagnosis of
1. Peutz jegher
2. HNPCC
3. Turcot
4. FAP

Correct answer: 2. HNPCC

Explanation: HNPCC / lynch is diagnosed bt modified emstredam eciteria.